Under AFP Surveillance, follow-up examination is done after (For residual paralysis):-
1. 15 days of onset of paralysis
2. 33 days of onset of paralysis
3. 60 days of onset of paralysis
4. 90 days of onset of paralysis

Correct answer: 3. 60 days of onset of paralysis

Explanation: Acute fluid paralysis is seen polio myelitis:- AFP surveillance done at 0-15 yrs. Age group in India, done by surveillance medical officer 2 stool specimens are collected from suspected individuals in 24 - 48 hr. apart Each sample should be 8 gm ( adult thumb size). Transported in reverse cold chain ( +2 to + 8degC):- Follow up after 60 days of onset of paralysis. Confirmation of polio should be done within 90 days.